Dysthyroid ophthalmopathy all are true except:
1. Proptosis
2. Myopathy
3. Exophthalmos
4. Optic neuritis

Correct answer: 4. Optic neuritis

Explanation: D i.e. Optic neuritis Thyroid Eye Disease (Clinical Presentation)